Uric acid is formed by -
1. Catabolism of proteins
2. Catabolism of ketones
3. Catabolism of purines
4. Catabolism fo pyrimidines

Correct answer: 3. Catabolism of purines

Explanation: Ans. is 'c' i.e., Catabolism of purines o Humans catabolize purines (adenine and guanine) to uric acid.